Splenectomy is indicated in?
1. Spherocytosis
2. Pyropoikilosis
3. Elliptocytosis
4. All

Correct answer: 4. All

Explanation: Ans. d (All). (Ref. Harrison, Principles of Medicine, 16th ed., 629)INDICATIONS FOR SPLENECTOMY# Trauma# Oncological (Part of enbloc resection/ therapeutic)# Hypersplenism - Portal hypertension & variceal surgery# Hematological- ITP- Hereditary spherocytosis- Hereditary Elliptocytosis- Hereditary pyropoikiolocytosis